ECT is contraindicated in
1. Pregnancy
2. Seizure disorder
3. Mania
4. Raised Intracranial pressure

Correct answer: 4. Raised Intracranial pressure

Explanation: Raised intracranial pressure is the only absolute contraindication for ECT